Permanent mandibular first molar is a common site for all the lesions EXCEPT
1. Pulp polyp
2. Condensing osteitis
3. Lateral periodontal cyst
4. Benign cementohlastoma

Correct answer: 3. Lateral periodontal cyst